Mac Ewan's triangle is also known as?
1. Supratemporal triangle
2. Suprameatal triangle
3. Supramastoid triangle
4. Supratympanic triangle

Correct answer: 2. Suprameatal triangle

Explanation: Ans. is 'b' i.e., Suprameatal triangle * MacEwen's triangle or suprameatal triangle. It is bounded above by supramastoid crest, anteroinferiorly by posterosuperior margin of external auditory canal and posteriorly by a tangent drawn from zygomatic arch.